Not true about sternocleidomastoid (SCM) tumour:
1. It is present at upper 2-3rd and lower 1-3 junction of SCM
2. It is always present at birth
3. It is associated with oligohydramnios and limb defects
4. It undergoes spontaneous resolution

Correct answer: 2. It is always present at birth

Explanation: SCM tumour leads to Torticollis or Twisted neck Or Wry Neck present at upper 2-3rd and lower 1-3 junction of SCM present at 1-2 years of age associated with oligohydramnios and limb defects undergoes spontaneous resolution Most common cause of Torticollis is fibrosis of sternomastoid muscle Surgical therapy: If the mass does not resolve within one year, it may become permanently fibrotic and contracted leading to torticollis, and a surgical intervention may be reqd. Subcutaneous tenotomyis themost commonlydone surgery. It is done in younger children. The technique involves tenotomy of the distal part of the sternocleidomastoid muscle. Open tenotomyis asurgical method where additional incision of the deep cervical fascial layer is done. Age at which open tenotomy is performed Probable effects Before 1 year Tethering of scar to deeper tissues 1 - 4 years Less satisfactory correction of the tilt of head and facial asymmetry After 5 years Secondary deformites are less corrected The open tenotomy is of two types: Unipolar release and Bipolar release, depending on whether the sternocleidomastoid is release from one or both of its attachments. Unipolar releasemay lead to tethering of the scar to deeper tissues, usually in young children. Therefore it is done in children older than 4 years of age. Frekel's modified bipolar releaseand Z-plasty of the muscle is done in children with severe deformity or after a failed operation.